The treatment of choice in duodenal atresia ?
1. Gastrojejunostomy
2. Duodenojejunostomy
3. Bishop koop prodcedure
4. Duodenoduodenostomy

Correct answer: 4. Duodenoduodenostomy

Explanation: Ans. is 'd' i.e., Duodeno duodenostomy